Which artery does not take part in Little's area?
1. Anterior ethmoidal artery
2. Sphenopalatine artery
3. Greater palatine artery
4. Posterior ethmoidal artery

Correct answer: 4. Posterior ethmoidal artery

Explanation: (Refer: PL Dhingra, Textbook of Ear, Nose, Throat, 6thedition, pg no: 176)Little's area (Kiesselbach's plexus)Woodruff's areaSituated in anteroinferior part of nasal septum just above the vestibule Situated in posterior end of inferior turbinateArteries - anterior ethmoidal, septal branch of superior labial, septal branch of sphenopalatine and greater palatine form anastomosis Arteries - sphenopalatine artery anastomose with posterior pharyngeal artery Usual site for anterior epistaxis in children&young adultsUsual site for posterior epistaxis